In which stage, corneal ulcer involving 1/2 of Corneal surface seen in WHO classification of vitamin A deficiency
1. Stage 2
2. Stage 3A
3. Stage 3B
4. Stage 4

Correct answer: 3. Stage 3B

Explanation: WHO classification of Vitamin A deficiency:
I Primary changes
X1A ⇒ Conjunctival xerosis
X1B ⇒ Bitot's spots
X2 ⇒ Corneal xerosis
X3A ⇒ Corneal ulcer < 1/3 rd of corneal surface
X3B ⇒ Corneal ulcer > 1/3rd of corneal surface.
II Secondary changes
XN ⇒ Night blindness
XF ⇒ Xeropthalmic fundus
XS ⇒ Xerophthalmia - related corneal Scar